Drug of choice for medical treatment of hydatid cyst of liver is
1. Praziquantel
2. Thiabendazole
3. Ivermectin
4. Albendazole

Correct answer: 4. Albendazole

Explanation: Ans. d (Albendazole). (Ref. Harrison, Medicine, 18th /Table 208-1)Albendazole is a broad spectrum, single dose anti-helminthic drug.Used in treatment of:Ascariasis, hookworm, tapeworm, enterobius, strongylodoisis, trichuris infestations.# Trichinosis# Neurocysticercosis (DOC), however it should not be used in ocular cysticercosis as blindness can occur due to reaction.# Hydatid disease (DOC)--MH 2006.Q# FilariasisALBENDAZOLEUsed in Parasitic Infection(s)Adverse EffectsMajor Drug-InteractionsAscariasis, clonorchiasis, cutaneous larva migrans, cysticercosis, echinococcosis, enterobiasis, eosinophilic enterocolitis, gnathostomiasis, hookworm, lymphatic filariasis, microsporidiosis, strongyloidiasis, trichinellosis, trichostrongyliasis, trichuriasis, visceral larva migrans.Nausea, vomiting, abdominal pain, headache, reversible alopecia, elevated aminotransferases. Rare: leukopenia,rashDexamethasone, praziquantel: plasma level of albendazole sulfoxide increased by ~50%